Which one of the following skeletal muscle relaxants causes pain on injection ?
1. Succinyl choline
2. Vecuronium
3. Rocuronium
4. Pancuronium

Correct answer: 3. Rocuronium